True about diptheria is -
1. Loffler's serum is highly selective medium for C. diptheria
2. Elek's Gel is a precipitation test
3. Metachromatic granules is produced on stain only by one strain of C. diphtheria
4. Gm -ve bacilli, non motile, non capsulated

Correct answer: 2. Elek's Gel is a precipitation test